Physiologic jaundice in term newborns is best characterized by
1. The onset of clinical jaundice by 12 hours of age.
2. Persistence of clinical jaundice for at least 1 week.
3. Equal elevation of direct and indirect serum bilirubin values
4. A rise in serum bilirubin concentration of less than 5 mg/dllday

Correct answer: 4. A rise in serum bilirubin concentration of less than 5 mg/dllday

Explanation: A rise in serum bilirubin concentration of less... Physiologic jaundice in term newborns is characterized by the appearance of clinical jaundice after 24 hours, an increase in bilirubin concentration of less than 5 mg/dl/day, total serum bilirubin concentrations of less than 13 mg/dl, direct serum bilinibin levels of less than 1.5-2 mg/dl, and the resolution of jaundice by the age of 1 week. Jaundice related to breast-feeding is termed breastfeeding jaundice, which typically responds to temporary discontinuation of breast-feeding.